Fundus examination of a patient presenting with loss of vision revealed a Cherry red spot on the macula. What is he most likely suffering from?
1. Retinitis pigmentosa
2. Retinoblastoma
3. CRAO
4. CRVO

Correct answer: 3. CRAO

Explanation: Cherry red spot on the retina is seen in central retinal artery occlusion. Other retinal signs in this condition includes retinal oedema and segmentation of blood column in the retinal vein (cattle tracking sign). Patients often presents with sudden painless loss of vision. Reference: Comprehensive Ophthalmology By A K Khurana, 4th Edition, Page 255.